A female patient Chandani develops chest pain which is not associated with exercise and chest auscultation shows multiple non ejection clicks. The investigation which is used to diagnose the disease is -
1. Echocardiography
2. Pyrophosphate scan
3. Thallium 201scan
4. ECG

Correct answer: 1. Echocardiography